Laryngocele arises from which of the following structure?
1. True cords
2. Subglottis
3. Saccule of the ventricle
4. Anterior commissure

Correct answer: 3. Saccule of the ventricle

Explanation: Laryngocele represents an air filled dilatation of the ventricular saccule that communicates with the laryngeal lumen. Laryngocele are of two types internal and external. Internal arises from within the laryngeal ventricle and remains within the larynx External type arises from the laryngeal ventricle and expands into the neck through the thyrohyoid membrane. Patients often presents with swelling in the neck which becomes more obvious with Valsalva maneuver. In advanced cases they develop stridor, dysphagia and paroxysmal cough.